Fiaky paint appearance of skin is seen in –
1. Dermatitis
2. Pellagra
3. Marasmus
4. Kwashiorkor

Correct answer: 4. Kwashiorkor